Which of the following complication is least likely to be associated with hypothyroidism in pregnancy?
1. Prematurity
2. Polyhydramnios
3. Recurrent abortions
4. Pregnancy induced hypertension (PIH)

Correct answer: 2. Polyhydramnios

Explanation: The major associations of hypothyroidism in pregnancy are high fetal wastage, abortion, still birth and prematurity, deficient intellectual function. A high association of pre-eclampsia and anemia are also seen with hypothyroidism. So by exclusion we can put the answer as polyhydramnios. Ref: Textbook of Obstetrics By D. C Dutta, 6th Edition, Page 290.